Most common cause dementia in adult:
1. Alzheimer's
2. Multiinfarct
3. Pick' disease
4. Metabolic cause

Correct answer: 1. Alzheimer's

Explanation: A i.e. Alzheimer's